Term psychiatry was coined by:
1. Pinel
2. Johann Christian Reil
3. Sigmund Freud
4. Benjamin Rush

Correct answer: 2. Johann Christian Reil

Explanation: Ref: Bhaiia's Essentials of Psychiatry, 4th edition, A Short Textbook of Psychiatry by Ah raj Ahuja, 7th edition, 2011Explanation:It was Johann Christian Reil a German physician coined the term "Psychiatry .Important persons in the history of psychiatry and their contributions.Phillips Pincl* Moral treatment for persons with mental disordersBenjamin Rush* Father of American PsychiatryBenedict Morel* Coined the term "dementia precox"Emil Kraepelin* Classified mental illnesses into two groups de menita precox (later renamed as schizophre nia) and MDP (Manic depressive psychosis}Pavlov* Conditioning (classical)Ble uter* Coined the term "Schizophrenia''. Described 4 'A's of schizophreniaHans Berger* EEGCerletti and Bini* ECTBinswaitger* Existential therapyAnna Freud* Defense mechanismsRoger Sperry* Split brain studiesAaron Beck* Cognitive therapy